Karyotyping of the fetus can be done routinely through all of the following invasive method except:
1. Chorionic villus sampling
2. Cordocentesis
3. Amniocentesis
4. Fetal skin biopsy

Correct answer: 4. Fetal skin biopsy

Explanation: There are three routine ways of obtaining fetal tissue for karyotyping: Chorionic villus sampling - done at First trimester(10-13th weeks) Amniocentesis - done at second trimester(16-18th weeks) Percutaneous umbilical blood sampling (cordocentesis) - done after 18 weeks.